Trimethoprim acts by:
1. Inhibiting peptidyl transferase enzyme
2. Inhibiting dihydrofolate reductase enzyme
3. Inhibiting Dihydropteroate synthase enzyme
4. Binds to 50s ribosomal unit and prevents protein synthesis

Correct answer: 2. Inhibiting dihydrofolate reductase enzyme

Explanation: Trimethoprim, Methotrexate and pyrimethamine inhibits dihydrofolate reductase enzyme and prevents formation of Tetrahydrofolic acid and from Dihydrofolic acid.